Which is an example of non graft associated regenerative technique?
1. HTR polymer
2. Bioactive glass
3. Osseous cogulum
4. GTR

Correct answer: 4. GTR